Child begins to sit with support, able to transfer objects from one hand to another hand and speak monosyllabic babbles at the age of –
1. 3 months
2. 6 months
3. 9 months
4. 12 months

Correct answer: 2. 6 months